Which of the following drug is second generation antihistaminic:
1. Promethazine
2. Loratadine
3. Diphenhydramine
4. Doxylamine

Correct answer: 2. Loratadine

Explanation: Ans. B. LoratadineSecond generation antihistaminic drug don't enter the CNS, no anticholinergic side-effects, drugs are cetirizine, levocetirizine, loratadine, ebastine, azelastine.